All of the following are pneumatic bones except;
1. Maxilla
2. Parietal
3. Ethmoid
4. Mastoid

Correct answer: 2. Parietal

Explanation: Ans. is 'b' i.e. ParietalRef: B .D.C. Handbook of) Generally anatomy (Volume 0)Pneumatic bones : -These bones contain large air spaces lined by epitheliumThey make the skull light in weightHelp in resonance of voice, andAct as air conditioning chambers for the inspired airThey areMaxillaSphenoidEthmoidMastoidMore questions on this topicSesamoid bonesPatellaPisiformFabellaMembrane bones (Dermal) -Bones of the vault of skullFacial bonesQuestion have also been asked about type of epiphysisTypes of epiphysisPressure epiphysisArticular and takes part in transmission of weight.ExamplesHead of femur Lower end of radiusTraction epiphysis Non articularDoes not take part in transmission of weightProvides attachment to one or more tendons which exert traction on epiphysis.e.g.Tubercles of humerus Trochanters of femur Mastoid processAtavistic epiphysis -Phylogenetically an independent bone which in man becomes fused to another boneExampleCoracoid process of scapula Os trigonumAberrant epiphysise.g.Epiphysis of head of first metacarpalEpiphysis at the base of other metacarpal bones.